Which of the following statements about High Density Lipoprotein (HDL) is false:
1. HDL increases oxidation of LDL
2. HDL reduces foam cell production by LDL
3. HDL is the best predictor of CAD
4. HDL helps to clear lipids from atheromas

Correct answer: 1. HDL increases oxidation of LDL

Explanation: HDL prevent oxidation of LDL in complex in vitro models as a result HDL function as a naturally acting antioxidant which protect vessel wall from oxidative damage and resulting atherogenesis. Ref: Current Pharmaceutical Design, Page 6.